Which of the following parameter is common to both acute and chronic malnutrition?
1. Weight for age
2. Weight for height
3. Height for age
4. BMI

Correct answer: 1. Weight for age

Explanation: Low weight for age is an indicator of both acute and chronic malnutrition. Low height for age is a physical indicator of chronic or long term malnutrition. Low weight for height is an indicator of acute malnutrition. Waterlow criteria for classification of malnutrition: Weight for height: Actual weight/ 50th percentile weight for height X 100 Height for age: Actual height/ 50th percentile height for age X 100 Category Acute malnutrition (weight for height) Chronic malnutrition (height for age) Normal > 90 > 95 Mild 80 - 90 90 - 95 Moderate 70 - 80 85 - 90 Severe < 70 < 85 Ref: Disease Control Priorities in Developing Countries edited by Dean T. Jamison, page 1093. Growth and Development by Dilip K Mukherjee page 20. Comprehensive Pediatric Hospital Medicine edited by Lisa B. Zaoutis page 634.